Dumbell tumour is seen in
1. Meningioma
2. Neurofibroma
3. Ependymoma
4. Thymoma

Correct answer: 2. Neurofibroma